High autopsy rate in hospital is indicative of:
1. Poor quality of care
2. Progressive outlook of hospital
3. Insensitive nature of care
4. None of the above

Correct answer: 2. Progressive outlook of hospital

Explanation: Autopsy rate of 15 to 20% indicates inquisitive nature of medical staff and progressive outlook of hospital. Ref: Textbook of community medicine, S. Lal, 3rd edition pg: 686.